Which of the following is not true about hydroquinone?
1. It is a weak hypopigmenting agent
2. It inhibits tyrosinase
3. Response is incomplete and pigmentation may recur
4. It should not be used for melasma or chloasma of pregnancy

Correct answer: 4. It should not be used for melasma or chloasma of pregnancy

Explanation: Ans. is'd'i.e., It should not be used for melasma or chloasma of pregnancy .Ref: KDT Vhle p. 8921Hydroquinone:It is a weak hypopigmentation agent.Inhibits tyrosinase and other melanin forming enzymes, decreases formation of and increases degradation of melanosomes.Regular application (as 2-6% lotion or cream) for months is required in melasma, chloasma of pregnancy, etc.